MC late complication of central venous line:
1. Air embolism
2. Thromboembolism
3. Cardiac arrhythmias
4. Sepsis

Correct answer: 4. Sepsis

Explanation: Ans. D i.e. Sepsis Central venous lines (CVLs) They are routinely used for monitoring and the administration of total parenteral nutrition (TPN) and medications in almost all critical / intensive care units (CCUs). Central venous access is normally obtained by cannulation of the internal jugular, the subclavian, or the femoral veins. Central venous access may also be obtained from more distal sites, typically the basilic and brachial veins, using a peripherally inserted central catheter (PICC). However, intravascular catheters are often associated with serious complications, such as catheter-related bloodstream infection.